The person is disoriented to time and space in
1. Hallucinations
2. Illusion
3. Delusion
4. Delirium

Correct answer: 4. Delirium

Explanation: Delirium It is the disturbance of consciousness in which the person is disoriented in time and space. It is a disorder of cognition. This occurs in clinical conditions eg, high fevers like typhoid or meningitis or datura poisoning. Another example is delirium tremens that occurs in chronic alcoholism. Ref: FORENSIC MEDICINE AND TOXICOLOGY Dr PC IGNATIUS THIRD EDITION PAGE 360